Pivot shift test is positive with
1. Anterior cruciate ligament tear
2. Posterior cruciate ligament tear
3. Medial meniscus injury
4. Lateral meniscus injury

Correct answer: 1. Anterior cruciate ligament tear

Explanation: Ans. a (Anterior cruciate ligament tear) (Ref. Adam's orthopedics 11th/pg, 315-325)Knee Joint Injuries1Normal range of motion# Flexion: 135 degrees# Extension: 0 to 10 degrees above horizontal plane2Patellar apprehension test# Evaluates for patella subluxation3Anterior cruciate ligament (ACL) stability tests# Lachman test (most sensitive) - done with the knee flexed at 20deg.# Anterior drawer test- done with the knee flexed at 20deg.# Pivot shift test (Macintosh Test)4Posterior Cruciate Ligament (PCL) Tests# Knee posterior drawer test# PCL sulcus test# PCL sag test5Collateral ligament evaluation# Knee valgus stress test (Medial collateral ligament)# Knee varus stress test (Lateral collateral ligament)6Meniscus evaluation# McMurray's test# Apley's compression test and apley's distraction test# Bounce Test7Pivot test# Patient lies in lateral decubitus position,# Affected knee extended, affected tibia internally rotated, and examiner applies valgus stress to knee (push from lateral side) and tries to flex knee,# If clunk felt at 30 degrees knee flexion, the test is said positive test for ACL rupture.